All of the following are associated with Thyroid storm, Except :
1. Surgery for thyroiditis
2. Surgery for thyrotoxicosis
3. Stressful illness in thyrotoxicosis
4. I
131
 therapy for thyrotoxicosis

Correct answer: 1. Surgery for thyroiditis